A person starts to sweat on forehead and gets a runny watery nose whenever he eats hot and spicy meals. This kind of sweating is:
1. Mental sweating
2. Physical sweating
3. Thermogenic sweating
4. Gustatory sweating

Correct answer: 4. Gustatory sweating

Explanation: Ans. D. Gustatory sweatingTypes of Sweating* Gustatory sweating: Sweating on scalp, forehead and nose in response to hot and spicy meals.* Mental sweating: Occurs in response to emotional stimuli like. For example, mental stress, emotional stress. Sweating usually noticed on palms, soles and axilla.* Thermogenic sweating: Sweating in response to peptic stimulation of hypothalamus in order to maintain the body temperature.